Calcaneum is associated most commonly with which
1. rib
2. vertebrae
3. skull
4. fibula

Correct answer: 2. vertebrae

Explanation: Ans. is 'b' i.e. vertebra Fractures of the calcaneum are caused by fall from height on to the heels, thus both heels may be injured at the same time.Fractures of the calcaneum are most often associated witha compression fracture of a vertebral body* (usually in the dorso lumbar region) of the pubic rami*. oran atlanto axial injury